Route of approach of glossopharyngeal neurectomy:
1. Tonsillectomy approach
2. Transpalatal approach
3. Transmandibular approach
4. Transpharyngeal approach

Correct answer: 1. Tonsillectomy approach

Explanation: Tonsillecotmy is done as a part of the following operations: Palatopharyngoplasty which is done for sleep apnea syndrome Glossopharyngal neurectomy--tonsil is removed first and then IX nerve is severed in the bed of tonsil Removal of styloid process.